The main cause of increased blood flow to exercising muscles is :
1. Raised blood pressure
2. Vasodilatation due to local metabolites
3. Increased sympathetic discharge to peripheral vessels
4. Increased heart rate

Correct answer: 2. Vasodilatation due to local metabolites

Explanation: B i.e. Vasodilatation due to local metabolites